Which of the following is the characteristic of adult respiratory distress syndrome
1. Diffuse alveolar damage
2. Interstitial tissue inflammation
3. Alveolar exudates
4. Interstitial fibrosis

Correct answer: 1. Diffuse alveolar damage

Explanation: The disease is mainly caused by a lack of a slippery substance in the lungs called surfactant. This substance helps the lungs fill with air and keeps the air sacs from deflating. Surfactant is present when the lungs are fully developed. Neonatal RDS can also be due to genetic problems with lung development